Tomato ketchup retina is seen in -
1. Cental retinal artery occlusion
2. Central retinal vein occlusion
3. Coats disease
4. Side cell retinopathy

Correct answer: 2. Central retinal vein occlusion

Explanation: Ans. is 'b' i.e. Central retinal vein occlusion o Tomato ketchup or splash tomato fundus is seen in central retinal vein occlusion.